What is the mechanism of aortic regurgitation in a Case of VSD ?
1. Prolapse of right coronary leaflet
2. Changes in the pressure gradient due to left to right shunt
3. Eisenmengerization
4. Congenital defect

Correct answer: 1. Prolapse of right coronary leaflet

Explanation: Ans. is 'a' i.e., Prolapse of right coronary leafletVentricular septal defect and aortic regurgitation-pathophysiological aspects and therapeutic consequence.Aortic regurgitation in VSDIt is a rare association seen in around 5% of VSDsIt is due to prolapse of the right coronary or non coronary leaflet of the aortic valve or bothCommon when the defect is in the infundibular septum.